Pre-renal azotemia is associated with one of the following characteristic feature :
1. Urinary Na+ < 10 mmol/L
2. Renal failure index > 1
3. Osmolality < 500
4. Urinary creatinine / P. creatinine ratio < 20

Correct answer: 1. Urinary Na+ < 10 mmol/L

Explanation: Answer is A (Urinary Na+ < 10 mmol/litre): Prerenal azotemia is associated with a urinary sodium excretion of less than 10 mmol/L.